Which is not an extrapyramidal tract -
1. Reticulospinal tract
2. Rubrospinal tract
3. Corticospinal tract
4. Tectospinal tract

Correct answer: 3. Corticospinal tract

Explanation: Ans. is 'c' i.e., Corticospinal tract Descending pathwaysPyramidal tractExtrapvramidal tractso Corticospinal tracto Rubrospinal tracto Tectospinal tracto Vestibulospinal tracto Reticulospinal tracto This question is a direct repeat from NBE based A1 2013-14.